Fluconazole differs from ketoconazole in that :
1. It is not active by the oral route
2. It is a more potent inhibitor of drug metabolism
3. It is not effective in cryptococcal meningitis
4. It is unlikely to produce anti–androgenic side effects

Correct answer: 4. It is unlikely to produce anti–androgenic side effects